Calcification of the intervertebral disc is present in:
1. Maple syrup urine disease
2. Homocystinuria
3. Ankylosing spondylitis
4. Achondroplasia

Correct answer: 3. Ankylosing spondylitis

Explanation: Ans. Ankylosing spondylitis